Given is the CECT of a patient of foul smelling ear discharge with convulsions. He should be managed by:
1. Abscess drainage followed by MRM
2. MRM followed by abscess drainage
3. Myringoplasty
4. Only MRM

Correct answer: 1. Abscess drainage followed by MRM

Explanation: (a) Abscess drainage followed by MRM(Ref. Cummings, 6th ed., 2172)The ring enhancing lesion that is being seen here is temporal lobe abscess following unsafe CSOM. Intracranial complication has to be managed first.